An ideal result of endodontic treatment is deposition of which of the following at the apex:
1. Bone
2. Cementum deposition
3. Dentin
4. Periodontal ligment

Correct answer: 2. Cementum deposition